International prognostic index for lymphomas includes the following prognostic factors except
1. Stage of disease
2. Number of extralymphatic sites involved
3. LDH
4. Hemoglobin and albumin

Correct answer: 4. Hemoglobin and albumin

Explanation: Hemoglobin and albumin The international prognostic index (HI) designed as prognostic factor model for aggressive NHL also appears to be useful for predicting the outcomes of: - Clinical features included in the IPI that are independently predictive of survival include the following : - Age --> Younger than 60 years versus older than 60 years LDH level -> Within the reference range versus elevated. Performance --> Eastern cooperative oncology group (ECOG) grade status (0-1) versus 2-4 Ann Arbor --4 Stage I-II versus 111-IV stage Number of - Zero to 1 versus more than 1 extranodal sites Good prognostic factors Poor prognostic factors Age 60 or below Stage I or II No lymphoma outside of l ymph nodes or lymphoma in only 1 area outside of lymph nodes Performance status able to function normally Serum LDH is normal Age above 60 Stage III or IV Lymphoma is in more than 1 organ of the body outside the lymph nodes Performance status : Needs a lot of help with daily activities Serum LDH is elevated